Energy source of brain in later part of starvation
1. Glucose
2. Fatty acids
3. Ketonis
4. Glycogen

Correct answer: 3. Ketonis

Explanation: Brain and starvation: During starvation, a significant part (60-70%) of the energy requirement of the brain is then met by ketone bodies. Under conditions of partial anoxia, the production of ammonia is increased. This is immediately trapped as glutamine. The NH2 group of glutamine and glutamate can be used for synthesis of other amino acids.Ref: DM Vasudevan, 7th edition, page no: 100